Micro albuminuria refers to urinary albumin excretion rate of -
1. 30-300mg/24 hour
2. 400-600 mg/24 hour
3. 700-900 mg/24 hour
4. >1000 mg/24 hour

Correct answer: 1. 30-300mg/24 hour